Epidemic dropsy results from -
1. Dhatura poisoning
2. Argemone poisoning
3. Aluminum phosphide poisoning
4. Organophosphorus poisoning

Correct answer: 2. Argemone poisoning

Explanation: Sanguarine,a toxic alkalpid from argemone oil interfers with the oxidation of pyruvic acid which accumulates in the blood causing epidemic dropsy.seeds of argemone mexicana closely resembles mustard seeds.(Ref.PARK'S textbook of social and preventive medicine 21st edition page no.608)